The Second most important intracellular cation is
1. Magnesium
2. Calcium
3. Sodium
4. Iron

Correct answer: 1. Magnesium

Explanation: (A) Magnesium # MAGNESIUM is the second most important intracellular divalent cation and is involved in a variety of metabolic processes including glucose metabolism, ion channel translocation, stimulus-contraction coupling, stimulus secretion coupling, peptide hormone receptor signal transduction.> Normal concentrations of extracellular magnesium and calcium are crucial for normal muscular activity.